All of the following drugs are useful in treatment of
hypertension except
1. Ephedrine
2. Reserpine
3. Methyldopa
4. Thiazole diuretics

Correct answer: 1. Ephedrine